Drug of choice for absence seizure:
1. Lamotrigine
2. Sodium valproate
3. Trimethadione
4. Ganoxolone

Correct answer: 2. Sodium valproate

Explanation: (Ref: KDT 6th ed. pg. 407-408)Uses of Sodium Valproate* Valproic acid is the drug of choice for absence seizures.* It is an alternative/adjuvant drug for GTCS, simple partial seizure and complex partial seizure* Myoclonic and atonic seizures-control is often incomplete, but valproate is the drug of choice.* Mania and bipolar illness: As alternative to lithium.* Valproate has some prophylatic efficacy in migraine.MOA: prolongation of Na+ channel inactivationAugmentation of release of inhibitory transmitter GABA by inhibiting its degradationDrugs which can be used for absence seizure:* Sodium valproate* Ethusuximide* Lamotrigine* ClonazepamDrug of choice for different seizuresSeizure typesDOCAbsence seizures (petit mal) in children (<2 - 3 yr)EthosuximideAbsence seizuresNa+ ValproateGTCS (Grand mal)LAMOTRIGINE > Na+ ValproateFocal onset/Partial seizureCarbamazepineMyoclonic seizuresNa+ Valproate> LamotrigineTonic/Clonic seizuresNa+ ValproateInfantile/salam seizureACTHInfantile spasm associated with tuberous sclerosisVigabatrinFebrile seizuresDiazepam (per rectal)Status epilepticusLorazepam (I.V.)Seizures in eclampsiaMagnesium sulphateSeizure during pregnancyLamotrigineLennox Gastaut syndromeNa+ Valproate